The most potent diuretic amongst the following is
1. Bumetanide
2. Furosemide
3. Torsemide
4. Ethacrynic acid

Correct answer: 1. Bumetanide